Not used topically
1. Nystatin
2. Ketoconazole
3. Griseofulvin
4. Micronazole

Correct answer: 3. Griseofulvin

Explanation: C i.e. Griseofulvin